Excessive hemorrhage from tonsillectomy is due to injury of the -
1. Paratonsillar vein
2. Ascending palatine artery
3. Rheumatic tonsillitis
4. Physiological enlargement

Correct answer: 1. Paratonsillar vein

Explanation: "Excessive bleeding at the time of operation usually arises because of trauma to an aberrant vessel or paratonsillar vein"